On X-ray of the abdomen, soap bubble appearance is seen in:
1. Multiple cystic kidney
2. Meconium ileus
3. Cystic lymphangiectasis
4. Volvulus

Correct answer: 2. Meconium ileus

Explanation: Ans. Meconium ileus